A true cyst which is derived from stellate reticulum and grows in place of tooth is known as?
1. Primordial cyst
2. Eruption cyst
3. Dentigerous cyst
4. Radicular cyst

Correct answer: 1. Primordial cyst